Cholinomimetics are useful in all of the following conditions EXCEPT
1. Glaucoma
2. Mysthenia gravis
3. Post operative atony of bladder
4. Partial heart block

Correct answer: 4. Partial heart block

Explanation: cholinomimetics use- 1.as miotic- in glaucoma/to reverse the effect of mydriatics after refraction testing/to prevent adhesions between lens and iris or cornea 2.in myasthenia gravis 3.in postoperative paralytic ileus 4.post operative decurarization 5.in cobra bite 6.in belladonna poisoning 8.in Alzheimer's disease REF: ESSENTIALS OF MEDICAL PHARMACOLOGY: KD TRIPATHI:7TH EDITION; PAGE NO 109